All are seen in 3
rd 
nerve palsy except-
1. Ptosis
2. Diplopia
3. Miosis
4. Outward deviation of eye

Correct answer: 3. Miosis

Explanation: 3rd nerve paralysis causes mydriasis (not miosis).
There is ptosis (due paralysis of levator palpabrae superioris), diplopia (due to extraocular muscle paralysis), and outward deviation of eye (due to active lateral rectus).